The cough response caused while cleaning the ear canal is mediated by stimulation of-
1. The V cranial nerve
2. Innervation of external ear canal by C1 and C2
3. The X cranial nerve
4. Branches of the VII cranial nerve

Correct answer: 3. The X cranial nerve

Explanation: “Irritation of the auricular branches of the vagus in the external ear (by ear wax, syringe, etc.) may reflexly cause cough, vomiting, or even
death due to sudden cardiac inhibition.”
Auricular branch of the vagus nerve is also known as Arnold’s nerve or Alderman’s nerve.
Also Know
Similarly irritation of recurrent laryngeal nerve by enlarged lymph nodes in children may also produce a persistent cough.